Under the 'NDPS Act' following drugs are included, except:
1. Opium/heroin
2. Hashish
3. Amphetamine
4. Alcohol

Correct answer: 4. Alcohol

Explanation: Ans. Alcohol